Anticentromere antibodies are most commonly associated with
1. Diffuse cutaneous systemic sclerosis
2. Mixed connective tissue disease
3. CREST syndrome
4. Polymyositis

Correct answer: 3. CREST syndrome

Explanation: The constellation of calcinosis cutis, Raynaud's phenomenon, esophageal dysmotility, sclerodactyly, and telangiectasia, was historically termed the CREST syndrome . Anti-centromere antibodies (ACAs; often styled solid, anticentromere) are autoantibodies specific to centromere and kinetochore function. They occur in some autoimmune diseases, frequently in limited systemic scleroderma (formerly called CREST syndrome), and occasionally in the diffuse form of scleroderma. Ref - HArrisons 20e p2546